What is the formula for parenteral iron therapy
1. 4.4 x body weight (kg) x Hb deficit (g/dl)
2. 3.3 x body weight (kg) x Hb deficit (g/dl)
3. 2.2 x body weight (kg) x Hb deficit (g/dl)
4. 1.1 x body weight (kg) x Hb deficit (g/dl)

Correct answer: 1. 4.4 x body weight (kg) x Hb deficit (g/dl)

Explanation: 4.4 x body weight (kg) x Hb deficit (g/dl)